Adjuvant used in DPT vaccine is:
1. Aluminium phosphate
2. Silica
3. Magnesium hydroxide
4. Manganese hydroxide

Correct answer: 1. Aluminium phosphate

Explanation: Adjuvant used in DPT vaccine is aluminium phosphate or hydroxide. Use of adjuvant increases immunological effectiveness of DPT vaccine. Ref: Park 21st edition, page 151.